In Erb's palsy, the limb is in which position:
1. Extended, laterally rotated, pronated
2. Extended, laterally rotated, supinated
3. Extended, medially rotated, pronated
4. Extended, medially rotated, supinated

Correct answer: 3. Extended, medially rotated, pronated

Explanation: Ans. C. Extended, medially rotated, pronatedErb's paralysis is caused by the excessive increase in the angle between the head and shoulder, which may occur by fall from the back of horse and landing on shoulder or traction of the arm during birth of a child.This involves upper trunk (C5 and C6 roots) and leads to a typical deformity of the limb called policeman's tip hand/porter's tip hand/waiter's tip hand. In this deformity, the arm hangs by the side, adducted and medially rotated, and forearm is extended and pronated.Clinical features are as follows:a. Adduction of arm due to paralysis deltoid muscle.b. Medial rotation of arm due to paralysis supraspinatus, infraspinatus, and teres minor muscles.c. Extension of elbow, due to paralysis of biceps brachii.d. Pronation of forearm due to paralysis of biceps brachii.e. Loss of sensation (minimal) along the outer aspect of arm due to involvement of roots of C6 spinal nerve.